In Glasgow coma scale, rating is given to patient on the basis of his level of consciousness. The minimum score that can be given is:
1. 0
2. 3
3. 5
4. 8

Correct answer: 2. 3